Amino acid responsible for Thioredoxin reductase activation:
1. Serine
2. Selenocysteine
3. Cysteine
4. Alanine

Correct answer: 2. Selenocysteine

Explanation: Ans. B. SelenocysteineSelenocysteine is seen in the active site of following Enzymes and ProteinsQThioredoxin reductaseGlutathione PeroxidaseIodothyronine DeiodinaseSelenoprotein P